Drug of choice for acute migraine is:
1. Methysergide
2. Sumatriptan
3. Ergotamine
4. Propranolol

Correct answer: 2. Sumatriptan

Explanation: Ans. B: Sumatriptan